Alagile syndrome is characterized by
1. Bile duct paucity
2. IHBR dilation
3. PBC
4. PSC

Correct answer: 1. Bile duct paucity

Explanation: Ans. (a) Bile duct paucityRef: Internet sources* Alagille syndrome is an autosomal dominant genetic disorder affecting liver and heart commonly.* Bile duct paucity is the common manifestation which results in Cirrhosis and Liver failure